A bony hard asymptomatic swelling found on the midline of the hard palate, that appears radiopaque on a radiograph is most likely a -
1. Odontoma
2. Myxoma
3. Bony cyst
4. Torus palatinus

Correct answer: 4. Torus palatinus